Which of the suprahyoid muscle is supplied by both facial nerve and mandibular nerve?
1. Stylohyoid
2. Mylohyoid
3. Digastric
4. Hyuglussus

Correct answer: 3. Digastric

Explanation: ORIGIN- a.Anterior belly of digastric fossa of mandible b.Posterior belly from mastoid notch of temporal bone. INSERTION- a. Anterior belly runs downwards and backwards b.Posterior belly runs downwards and forwards. NERVE SUPPLY- a.Anterior belly by nerve to mylohyoid b.Facial nerve. ACTIONS- a. Depress mandible when mouth is opened widely or against resistance: it is secondary to lateral pterygoid b.Elevates hyoid bone. Ref BDC volume 3,6th edition pg 132